In tuberculosis of scrotal contents, first to get affected is?
1. Testis
2. Epididymis
3. Rete testis
4. Vas deferens

Correct answer: 2. Epididymis

Explanation: Ans. (b) EpididymisRef: Smith urology page 219, Textbook of Pathology By V. Krishna / 347